Which of the following is true of mumps –
1. Salivary gland involvement is limited to the parotids
2. The patient is not infectious prior to clinical parotid enlargement
3. Menigoencephalitis can precede parotitis
4. Mumps orchitis frequently leads to infertility

Correct answer: 3. Menigoencephalitis can precede parotitis

Explanation: "Aseptic meningitis may develop before, during, after or in the absence of parotids." - Harrison 17th/e-1220
About other options

Mainly parotid glands are involved, but sublingual and submaxillary glands may also be involved.
The patient is infectious 4-6 days before the onset of swelling.
Sterility after mumps orchitis is rare.